Most common arterial thrombosis related manifestations in antiphospholipid antibody syndrome is:
1. Stroke
2. Transient ischemic attacks
3. Myocardial ischemia
4. Amaurosis fugax

Correct answer: 1. Stroke

Explanation: Arterial thrombosis and related consequences in APLA syndrome: Stroke-20%, TIA-11 %, Myocardial ischemia-10% Amaurosis fugax-7% Ref: Harrisons principles of internal medicine, 18th edition, Page 2737